Action of a - subunit of G protein is:
1. Breakdown of GTP to GDP
2. Conversion of GDP to GTP
3. Internalization of receptors
4. Binding of agonist

Correct answer: 1. Breakdown of GTP to GDP

Explanation: A i.e. Breakdown of GTP to GDP